The clinical sign of hyaline membrane disease generally first appears -
1. In the first 6 hours of life
2. Between 12 and 24 hours of life
3. Between 36 and 48 hours of life
4. After 48 hours of lilfe

Correct answer: 1. In the first 6 hours of life

Explanation: Ans. is 'a' i.e., In the first 6 hours of life